Achoffs bodies in rheumatic heart disease show all of following feautures except:
1. Anitkshkow cells
2. Epitheloid cells
3. Giant cells
4. Fibrinoid necrosis

Correct answer: 2. Epitheloid cells

Explanation: Aschoff bodies consists of foci of swollen esinophilic collagen surronded by lymphocytes ocassional plasma cells and plump macrophages called anitschkow cells. These cella are also called caterpillar cells some of the larfer macrophages become multinucleated to form achoff giant cells. (ref Robbins 7th/593-594)